All of the following are incinerated except : a) Mercuryb) Radiological wastec) Halogen containing plasticsd) Human anatomical wastee) Animal waste
1. abc
2. bc
3. acd
4. bcd

Correct answer: 1. abc

Explanation: "Waste types not to be incinerated are: (a) pressurized gas container; (b) large amount of reactive chemical wastes; (c) silver salts and photographic or radiographic wastes; (d) Halogenated plastics such as PVC; (e) waste with high mercury or cadmium content, such as broken thermometers, used batteries, and lead-lined wooden panels; and (f) sealed ampules or ampules containing heavy metals"